Peripheral necrosis of liver is caused by
1. Carbon tetrachloride
2. Benzene
3. Phosphorus
4. Rifampicin

Correct answer: 3. Phosphorus

Explanation: Hepatocellular damageExamplesMicrovascular fatty changeTetracycline, salicylates, yellow phosphorus, ethanolMacrovascular fatty change Ethanol, methotrexate, amiodaroneCentrilobular necrosisBromobenzene , CCL4,acetaminophen,halothane ,rifampinDiffuse or massive necrosisHalothane, isoniazid, acetaminophen, methyldopa, trinitrotoluene, Amanita phalloides toxinHepatitis Methyldopa, isoniazid, nitrofurantoin, phenytoin, oxyphenisatinFibrosis-cirrhosis Ethanol, methotrexate, amiodarone, most drugs that cause chronic hepatitisGranuloma formation Sulfonamides, methyldopa, quinidine, phenylbutazone, hydralazine, allopurinolCholestasis Chlorpromazine, anabolic steroids, erythromycin, estolate, OCP, organic arsenicalsPeripheral necrosisPhosphorus (Refer: Robbins & Cotran's - Pathologic Basis of Disease, SAE, 1st edition, Vol II-pg no: 840 &841)